The teeth that erupt prematurely after 30 days of birth are known as
1. Neonatal teeth
2. Natal teeth
3. Early infancy teeth
4. Early childhood teeth

Correct answer: 3. Early infancy teeth